Set white MTA  can be dissolved by the adjunct solution of:
1. Carbonic acid.
2. Normal saline.
3. Sodium hypochlorite.
4. Hydrogen peroxide.

Correct answer: 1. Carbonic acid.

Explanation: Carbonic acid can be effectively used as an adjunct to dissolve set white MTA even after 21 days.